Dr Neelam decides to give estrogen therapy in a postmenopausal woman. The risk of which of the following will not be increased ?
1. Gall stones
2. Osteoporosis
3. Endometrial carcinoma
4. Breast cancer

Correct answer: 2. Osteoporosis